Which of the following is the most common location of hypertensive intracranial hemorrhage?
1. Pons
2. Thalamus
3. Putamen
4. Subcortical white matter

Correct answer: 3. Putamen

Explanation: In order of frequency, the most common sites of hypertensive intracerebral bleed are the lentiform nucleus, especially the putamen, supplied by the lenticulostriate arteries, the thalamus, supplied by posterior perforating arteries off the posterior cerebrobasilar artery bifurcation, the white matter of the cerebral hemispheres (lobar hemorrhages), the pons, supplied by small perforating arteries from the basilar artery; and the cerebellum, supplied by branches of the cerebellar arteries. Ref: Clinical Neuroanatomy, 26th Edition By Stephen G. Waxman, Chapter 12